All are seen in primary extraglandular Sjogren's syndrome except -
1. Rheumatoid arthritis
2. Raynaud's disease
3. Lymphoma
4. Splenomegaly

Correct answer: 1. Rheumatoid arthritis

Explanation: Ans. is 'a' i.e., Rheumatoid arthritis o Primary Sjogren syndrome is not associated with other autoimmune disorders, e.g. Rheumatoid arthritis,o Sjogren syndrome occurs in elderly (50-60 yrs) female.o Primary' Sjogren syndrome (Sicca syndrome) has two types of clinical manifestationsSjogren SyndromeInvolvement of exocrine glandExtraglandularo Exocrine glands are the primary targeto Most common glands involved are -1. Lacrimal glands - dry eyes (Keratoconjunctivitis sicca)2. Salivary glands - dry mouth (Xerostomia)o Occurs in 1/3 rd patientso Raynaud's phenomenono Vasculitiso Arthralgia/Arthritiso Lymphadenopathyo Lymphomao Splenomegalyo Lung involvemento Kidney involvemento Peripheral neuropathyo Myositiso Liver involvemento In Sjogren syndrome, there is increased risk of development of marginal B-cell lymphoma.o Amongst the extraglandular manifestations, Arthralgia/Arthritis is most common.Remembero The biopsy of the lip to examine minor salivary glands is essential for the diagnosis of Sjogren syndrome.o The characteristic decrease in tears and saliva is the result of lymphocytic infiltration and fibrosis of lacrimal and salivary gland.o Anti SS-A (Ro) and anti SS-B (La) antibodies are the serological markers of Sjogren syndrome.